All of the following statements are true regarding warfarin toxicity (skin necrosis) except:
1. Skin necrosis occurs during initiation of therapy
2. Most common sites are toes and tips of fingers
3. Decreased quantity of protein C
4. Decreased incidence of adverse effects if therapy with LMWH is started.

Correct answer: 2. Most common sites are toes and tips of fingers

Explanation: Ans. (B) Most common sites are toes and tips of fingers(Ref: Harrison 18/e p433)Common sites of warfarin-induced skin necrosis are breasts, thighs and buttocks.